Niacin is derived from which amino acid -
1. Tyrosine
2. Phenylalanine
3. Tryptophan
4. Methionine

Correct answer: 3. Tryptophan

Explanation: Ans. is 'c' i.e., TryptophanAmino acidsBiological important compoundTyrosineCatecholamines (epinephrine, norepinephrine, dopamine), thyroxine,triiodothryonine, melanin(Note : - Phenylalanine is the precursor of tyrosine, thus it can also give rise to all these compounds through tyrosinejJ-lipotropic hormone (b-LPH) (phenylalanine - Tyrosine - Catecholamines, thyroxine T., melanin).TryptophanVitamin niacin, melatonin. SerotoninGlycine,Arginine, methionineCreatineGlycine, cysteineBile saltsGlycineHemeAspartic acid and glutaminePyrimidine basesGlycine, aspartic acid, glutaminePurine basesb-alanineCoenzyme-AArginineNitric oxideHistidine, Arginine, lysineKeratinMethionine, lysineCarnitineGABAGlutamateGlutamate, cysteine, glycineGlutathione